A deep-seated carcinoma in the neck near the bifurcation of the common carotid artery with no evidence of primary carcinoma of the mouth, pharynx, larynx is
1. Collar stud abscess.
2. Branchiogenic carcinoma.
3. Subhyoid bursal cyst.
4. Cold abscess.

Correct answer: 2. Branchiogenic carcinoma.